Drug directly acting on blood vessels is:
1. Hydralazine
2. Verapamil
3. Propranolol
4. Methyaldopa

Correct answer: 1. Hydralazine

Explanation: Ref:KDT 6/e p547 Some drugs used to treat hypertension, such as calcium channel blockers -- which prevent calcium from entering blood vesselwalls -- also dilate blood vessels. But the vasodilators that work directly on the vessel walls are hydralazine and minoxidil.